The bullet which silently remains in the body is
1. Ricochet bullet
2. Souvenir bullet
3. Rubber bullets
4. Hollow point bullet

Correct answer: 2. Souvenir bullet

Explanation: Souvenir bullet These are the bullets which remain in the body silently. They are left in the body because surgical intervention will cause more damage. They become encapsulated by fibrous tissue. Lead poisoning may occur due to absorption of lead from the bullet. Ref: FORENSIC MEDICINE AND TOXICOLOGY Dr PC IGNATIUS THIRD EDITION PAGE 142